A 22-year-old G3P2 presented with profuse bleed after a normal spontaneous vaginal delivery.Physical exam reveals a boggy uterus, and a bedside sonogram indicates the presence of placental tissue.Most probable diagnosis is.
1. Succenturiate placenta
2. Vasa previa
3. Placenta previa
4. Membranaceous placenta

Correct answer: 1. Succenturiate placenta

Explanation: Succenturiate placenta refers to placenta with additional lobe and this lobe is located a few centimeters away from main lobe and it may be left behind after delivery and may present with PPH